Which antifungal is used intravitreally?
1. Fluconazole
2. amphotericin B
3. Itraconazole
4. Flucytosine

Correct answer: 2. amphotericin B

Explanation: Answer- B. amphotericin BAntifungal drugs which are used intravitreally for fungal ophthalmitis are :-Variconazole (more commonly used)Amphotericin B